Mucoperichondral flap in septoplasty is made on?
1. Alar cartilage
2. Septal cartilage
3. Maxillary spine
4. Sphenoidal spine

Correct answer: 2. Septal cartilage

Explanation: Septoplasty It is a conservative approach to septal surgery. In this operation, much of the septal framework is retained. Only the most deviated parts are removed. Rest of the septal framework is corrected and repositioned by plastic means. Mucoperichondrial and the mucoperiosteal flap is generally raised only on one side of the septum, retaining the attachment and the blood supply of the other. (Ref: Diseases of ENT, PL Dhingra, 7th edition, pg no. 168)